Dumbell tumour is seen in -
1. Meningioma
2. Neurofibroma
3. Ependymoma
4. Thymoma

Correct answer: 2. Neurofibroma

Explanation: Ans. is 'b' i.e., Neurofibroma